Drug of choice for Hypercalcemia of malignancy is
1. Salcatonin
2. IV fluids
3. Bisphosphonates
4. SERM

Correct answer: 3. Bisphosphonates

Explanation: Drug of choice for hypercalemia of malignancy is Bisphophonates and for immediate treatment IV fluids are used.Salcatonin / calcitonin is fastest calcium lowering drug.